Which of the following is associated with least common Suicidal tendencies
1. Alone
2. Depression
3. Male
4. Married person

Correct answer: 4. Married person

Explanation: Risk factors for suicide are: Age>40years, male, staying single, previous suicidal attempts, depression, suicidal preoccupation, alcohol or drug dependence, social isolation, recent serious loss or major stressful life events. (Ref: a short textbook of psychiatry, Niraj Ahuja, 7th edition, pg no.223)